Short gastric arteries reach the stomach via
1. Linorenal ligament
2. Gastrosplenic ligament
3. Gastrophrenic ligament
4. Ligament of treitz

Correct answer: 2. Gastrosplenic ligament

Explanation: (B) (Gastrosplenic ligament) (172-snell 7th)* Short gastric arteries- arises from the splenic artery ** at the hilum of the spleen and passes forward in the gastrosplenic omentum (ligament) to supply fundus1. Gastrosplenic ligamentContains short gastric vessels *2. Lino renal ligamentContains splenic vessels and tail of pancreas**3. Phrenico colic ligamentSupports anterior end of spleen and prevent its down ward displacement **** Massive colonic bleeding in a patients with Diverticulosis is from superior Mesentric arterySUPERIOR MESENTERIC SYNDROME (WILKIE'S syndrome!* Caused by compression of the third portion of the duodenum by the superior mesenteric artery, as it passes over this portion of the duodenum* Most commonly seen in young sthenic individuals with woman (w>m)* Predisposing factors- weight loss, supine immobilization scoliosis, placement of body cast (cast syndrome )* Symptoms- Nausea. Vomiting abdominal distension, weight loss , and post prandial epigastric pain* Diagosis-Barium upper GI series, Hypotonic duodenography* Operative treatment of choice for vascular compression of duodenum is - duodeno- jejunostomy